All of the following statements regarding membranous hephropathy are true except
1. Most common cause of nephrotic syndrome in adults
2. Antibodies to phospholipase A2 receptor are present
3. Rupture of Basement membrane is a characteristic feature
4. Spike and done appearance is visualised on electron microscopy

Correct answer: 3. Rupture of Basement membrane is a characteristic feature

Explanation: Rupure of Basement membrane occurs in RPGN.